The sequence of development of puberty in girls is:
1. Thelarche, Pubarche, Menarche
2. Pubarche, Thelarche, Menarche
3. Pubarche, Menarche, Thelarche
4. Menarche, Thelarche, Pubarche

Correct answer: 1. Thelarche, Pubarche, Menarche